Ventricular depolarization starts from:
1. Posterolateral area of ventricle
2. Base of left ventricle
3. Right part of interventricular septum
4. Left part of interventricular septum

Correct answer: 4. Left part of interventricular septum

Explanation: Ans. d. Left part of interventricular septumVentricular depolarization starts from left part of interventricular septumSpread of Depolarization in the VentriclesFirst to be depolarized is the left upper part of the interventricular septum; septal depolarization is from left to right(2.The wave of depolarization spreads down the septum to the apex. proceeding from endocardium to epicardiumQLast parts of the ventricles to be depolarized arePosterobasal portion of the left ventricleQPulmonary conusQA small uppermost portion of the septumQ